The Point of distinction between partial mole to complete mole is
1. Partial mole show trophoblastic proliferation with absent villi
2. Typical of partial mole is cellular atypia
3. Partial mole is more prone to tumor malignancy
4. Partial mole is triploid

Correct answer: 4. Partial mole is triploid

Explanation: Ref: Shaw's Textbook of Gynecology; 16th edition; Chapter 22; Gestational Trophoblastic Diseases